Kussumaul's sign is most commonly seen in
1. Restrictive cardiomyopathy
2. Pericardial tamponade
3. Constrictive pericarditis
4. Right ventricular infarct

Correct answer: 3. Constrictive pericarditis